After 5 days of fasting a man undergoes oral GTT, true is all except :
1. GH levels are increased
2. Increased glucose tolerance
3. Decreased insulin levels
4. Glucagon levels are increased

Correct answer: 2. Increased glucose tolerance

Explanation: B i.e. Increased glucose toterance